Parasympathetic nervous system comprises of:
1. Cranial nerves IlI, V Vil, X and sacral nerves Sl, s2, s3. s4, s5
2. Cranial nerves III, VII, IX, X and sacral nerves s2, S3, S4
3. Cranial nerves V, VII, IX, X and sacral nerves S2, S3, S4
4. Cranial nerves III, V VII, X and sacral nerves S2, S3, S4

Correct answer: 2. Cranial nerves III, VII, IX, X and sacral nerves s2, S3, S4

Explanation: Ans: B. Cranial nerves III, VII, IX, X and sacral nerves s2, S3, S4(Ref Grayls40/ep235;Ganong25/ep257,24/ep2571Parasympatheticflow is cranio-sacral, carried by cranial nemes III, VII, X, X & sacral nerves S2, S3, S4.